A 30-year-old female complains of vaginal bleeding for 2 weeks. A diagnosis of H mole is made by ultrasound scanning. Suction evacuation is performed and the diagnosis of a complete H mole is confirmed by HPE of curettings.What is the most appropriate next step in the management?
1. Give 1/m methotrexate daily for 5 days
2. Perform hysterectomy
3. Perform serum b-hCG levels weekly till the test becomes negative
4. Perform curettage after 2 weeks

Correct answer: 3. Perform serum b-hCG levels weekly till the test becomes negative

Explanation: Ans. is c, i.e. Perform serum b-hCG levels weekly till the test becomes negativeBest T/t for H mole is suction evacuation. No need for:1. Hysterectomy after it to give methotrexate if patient is not high risk.2. Best is to follow-up with weekly hCG.